Penalty awarded according to dowry prohibition act?
1. 15000 Rs and 5 years
2. 30000 Rs and 7 years
3. Life imprisonment
4. Imprisonment for 10 years

Correct answer: 1. 15000 Rs and 5 years

Explanation: Ans. is 'a' i.e., 15000 Rs and 5 years According to Dowry Prohibition act (1961), if any person gives or takes or abets the giving or taking dowry is punishable with imprisonment for a term which shall not be less than 5 years and with a fine which shall not be less then 15000 rupees or the amount of the value of such dowry, whichever is more. Note - According to section 304 B IPC punishment for dowry death is imprisonment for atleast 10 years, which may be extended to life imprisonment.